According to Kaban’s protocol rate of distraction osteogenesis to regenerate a new ramus/ condyle unit is?
1. 1 mm/day
2. 1.5 mm/day
3. 2.0 mm/day
4. 2.5 mm/day

Correct answer: 1. 1 mm/day